All are exploring instruments for a root canal except:
1. DG-16
2. JK-17
3. CK-17
4. JW-17

Correct answer: 2. JK-17

Explanation: The DG-16 endodontic explorer is used to identify canal orifices and to determine canal angulation.
The CK-17 endodontic explorer serves the same purpose, but it's thinner, stiffer tip can be useful for identifying calcified canals.
Micro JW-17 - Thin Canal Explorer, Double-Ended, Single instrument.

JK-17  - Dental explorer or sickle probe.